Features of UMN lesion -a) Spasticityb) Rigidityc) Babinski positived) Hyperreflexiae) Weakness
1. bce
2. acde
3. abcd
4. abde

Correct answer: 2. acde